All the following are yeast like fungi except-
1. Candida
2. Geotrichum
3. Cryptococcus
4. Trichophyton

Correct answer: 4. Trichophyton